Duodenal aspirate is used in diagnosis of:
1. E histolytica
2. Giardia lamblia
3. Taenia solium
4. Leishmania

Correct answer: 2. Giardia lamblia

Explanation: Ans. b. Giardia lamblia